A 53 year old male presents with an enlarged supraclavicular lymph node, and examination reveals enlargement of the Waldeyer ring of oropharyngeal lymphoid tissue. There is no hepatosplenornegaly. Lymph node biopsy reveals replacements by a monomorphous population of large lymphoid cells with enlarged nuclei and prominent nucleoli. The CBC is normal except for finding of mild anemia. Immunohistochemical staining and flow cytometry of the node reveals that most lymphoid cells are CDl9 CD10=,CD3-, CD15-, and negative (TdT). These findings are most consistent with a diagnosis of
1. Chronic lymphadenitis
2. Diffuse large B-cell lymphoma
3. Hodgkin disease
4. Lymphoblastic lymphoma

Correct answer: 2. Diffuse large B-cell lymphoma

Explanation: Diffuse large B-cell lymphoma occurs in older individuals and frequently presents as localized disease with extranodal involvement, particularly of the Waldeyer ring. The staining pattern indicates a B-cell proliferation (CD19, CD1O). T-cell (CD3) and monocytic (CD15) markers are absent, TdT can be expressed in B- lineage cells at an earlier stage of maturation. Small lymphocytic lymphoma is also a B-cell neoplasm, but it manifests with widespread lymphadenopathy, liver and spleen enlargement, and lymphocytosis, Lymphoblastic lymphoma is a T-cell neoplasm that occurs typically in the mediastinum of children. Reed-Stem berg cells characterize Hodgkin disease. In chronic lymphaderiitis, the lymph node has many cell types-macrophages, lymphocytes, and plasma cells. A monomorphous infiltrate is typical of non-Hodgkin lymphomas.